As a general rule, arteries carry :
1. Urine
2. Lymph fluid
3. Oxygenated blood
4. Deoxygenated blood

Correct answer: 3. Oxygenated blood

Explanation: All arteries carry oxygenated blood from the heart to the rest of the body
with the exception of the pulmonary artery which carries deoxygenated blood from the heart to the lungs.